Provision of Primary Health care was done by:
1. Bhore Committee
2. Alma - Ata Declaration
3. Shrivastava Committee
4. National Health Policy

Correct answer: 2. Alma - Ata Declaration

Explanation: At the conference held in 1978, the Alma-Ata Declaration has defined public health care as "Primary Health Care is essential health care made universally accessible to individuals and acceptable to them, through their full participation and at a cost the community and country can afford. Bhore Committee Comprehensive Health Care Alma - Ata Declaration Primary Health Care Shrivastava Committee Health Planning - Group on Medical Education and Support Manpower National Health Policy Health For All by the year 2000 Ref: Park's Textbook of Preventive and Social Medicine, 19th Edition, Pages 710, 740-741.